Silver plated dyes use an electrolytic bath of:
1. Silver fluorides
2. Silver cyanide
3. Silver bromide
4. Silver iodide

Correct answer: 2. Silver cyanide